The most common cause of Pulmonary thromboembolism
1. DIC
2. DVT
3. Coagulaon Disorder
4. Venous Hypertension

Correct answer: 2. DVT

Explanation: The most common cause of pulmonary thromboembolism is deep venous thrombosis.